Which is not a boundary of calot triangle
1. Common hepatic duct
2. Cystic duct
3. Right lobe of liver
4. Gall bladder

Correct answer: 4. Gall bladder

Explanation: Gall bladder